Most suggestive of anti mortem hanging ?
1. Salivary dribbling
2. Congestion of lungs
3. Ligature marks
4. Petechial hemorrhages

Correct answer: 1. Salivary dribbling

Explanation: Most suggestive of antemortem hanging is Salivary dribbling . There is no specific gold standard to distinguish between antemortem and postmortem hanging.However presence of : Vertical salivary dribble mark from the dependant angle of mouth. The phenomenon of Le Facies sympathique. Hyperemia and echymosis of margins of ligature mark Horizontal tear of the intima of carotid artery at level of ligature with infiltration around. are considered as ante mortem features of hanging. But obvious salivary dribble mark could be detected only in 56% of cases